Not a feature of scabies is ?
1. Serpentine burrow
2. Severe itching
3. Web space affection
4. Genitalia are not affected

Correct answer: 4. Genitalia are not affected

Explanation: Ans. is 'd' i.e., Genitalia are not affected